Excessive sexual desire in female
1. Nymphomania
2. Satyriasis
3. Frigidity
4. Fetishism

Correct answer: 1. Nymphomania

Explanation: Ans. a- Nymphomania Nymphomania is an excessive sexual desire in females where she enjoys having multiple sexual partners or desires excessive sexual activity.Satyriasis is an excessive sexual desire in males where they enjoy having multiple sexual partners or desire excessive sexual activity.Types of Sexual perversionsThese are persistently indulged sexual acts in which complete satisfaction is sought and obtained without sexual intercourse.a) Sadism :Sexual gratification is obtained or increased from acts of physical cruelty or infliction of pain on one's partner.It is seen more commonly in men. To obtain sexual gratification, the sadist may bite, beat, whip, produce cuts on the victim, etc.b) Lust murder :In extremes of sadism, murder serves as a stimulus for the sexual act and becomes the equivalent of coitus, the act is accompanied by erection, ejaculation, and orgasm.c) Necrophagia : (Necros =corpse; phagia = to eat) :This is an extreme degree of sadism in which the person after mutilating the body, sucks or licks the wounds, bites the skin, drinks blood, and eats the flesh of his victim to derive sexual pleasure.d) Masochism :Sexual gratification is obtained or increased by the suffering of pain.Masochists get pleasure from being beaten, abused, tortured, humiliated, enslaved, degraded, or dominated by their sexual partner.e) Necrophilia :In this condition, there is a desire for sexual intercourse with dead bodies.It is said to have a sadomasochistic foundation and that decomposition, foul smell, and coldness act as stimulants.f) Fetishism :A fetish is an abnormal stimulus or object of sexual desire.Fetishism means the use of such objects of sexual gratification leading to orgasm. For example underclothing, brassiere, petticoat, stocking, shoes, etc.g) Transvestism = Eonism:A transvestite (trans = opposite, vista = clothing) is a person whose whole personality is dominated by the desire of being identified with the opposite sex.